False about mechanism of action of anticonvulsants is:
1. Ethosuximide-K+ channel opener
2. Phenytoin- Na+ channel blocker
3. Diazepam- Facilitates GABA action
4. Gabapentin - Increase GABA release

Correct answer: 1. Ethosuximide-K+ channel opener

Explanation: Ethosuximide reduces low threshold calcium currents ( T currents) in the thalamic neurons. All the other given options are true. REF KD TRIPATHI 8TH ED. Page no 226